Most commonly fractured carpal bone is
1. Scaphoid
2. Lunate
3. Hamate
4. Trapezoid

Correct answer: 1. Scaphoid

Explanation: Ans. a (Scaphoid). (Ref Maheshwari, Orthopaedics, 2nd ed., 95)# Scaphoid is the most commonly fractured carpal bone seen more commonly in young adults commonly occurring through the waist as it is least vascular area of scaphoid and rarely it occurs through the tuberosity.# Pain & swelling over the radial aspect of the wrist following fall on out stretched hand in an adult should make one strongly suspect of scaphoid fracture.# There is tenderness in anatomical snuff box.# Oblique view is best radiographic view to diagnose it.# Scaphoid is most commonly fractured at its waist (at the junction of anterior & mid one thirds).